CoA and Acyl carrier protein (ACP) are similar in that
1. Both are present in mitochondria
2. Both contain pantothenic acid
3. Both are used in fatty acid degradation
4. Both are required for activation of fatty acids

Correct answer: 2. Both contain pantothenic acid

Explanation: Acetyl CoA is the combination of acetate or acetic acid (2 carbon unit) with Co-enzyme A. Acyl CoA means acyl group (any fatty acid, C4 to C26 in length) combined with Coenzyme A.Ref: MN Chatterjea Textbook of Medical Biochemistry, 6th edition, page no: 131